A 30year old patient with radiographic appearance of endosteal bone formation, sclerosed bone is likely to be suffered from:
1. Garre's Osteomyelitis.
2. Chronic focal sclerosing Osteomyelitis.
3. Acute Osteomyelitis.
4. Chronic Osteomyelitis.

Correct answer: 2. Chronic focal sclerosing Osteomyelitis.